Taste sensation from anterior 2/3rd of tongue are carried by
1. Glossopharyngeal
2. Chordatympani
3. Trigeminal
4. Greater auricular

Correct answer: 2. Chordatympani

Explanation: TASTE SENSATION FROM ANTERIOR TWO-THIRDS OF TONGUE IS CARRIED BY CHORDA TYMPANI. CHORDA TYMPANI IS THE NERVE OF TASTE EXCEPT VALLAA PAPILLAE. REFER BDC 6 TH EDITION VOLUME 3 PAGE NO: 268 REFER FIG 17.8